Contrast used for MRI
1. Gadolinium
2. Radium
3. Iridium
4. TDT

Correct answer: 1. Gadolinium

Explanation: MRI Contrast Agents : Are contrast agents used to improve the visibility of internal body structures in magnetic resonance imaging(MRI). The most commonly used compounds for contrast enhancement are Gadolinium-based.